Functional basis of ionising radiation depends on:
1. Functional basis of ionising radiation depends on:
2. Removal of orbital electron
3. Linear energy transfer
4. Adding orbital electron

Correct answer: 2. Removal of orbital electron

Explanation: B i.e. Removing orbital electrons